Which of the following indicator is used for growth monitoring at Anganwadi centre?
1. Height for age
2. Mid arm circumference
3. Weight for age
4. Height for weight

Correct answer: 3. Weight for age

Explanation: ANGANWADI CENTRE ICDS GROWTH CHART Nutritional staus of the child is assessed against Weight for age Separate charts for girls and boys 3 zones: Normal zone (grey), Under-nutrition below -2 SD (light grey), severe underweight below-3 SD (dark grey).